A microbiologist carries out milk ring test, which is positive. What is the most likely organism?
1. Salmonella
2. Brucella
3. Bordetella
4. Bacillus anthracis

Correct answer: 2. Brucella

Explanation: Milk Ring Test (M) is positive for Brucella. It is used for detection of infected animals in dairy farms, etc. A sample of whole milk is mixed with a drop of Brucella antigen and incubated at 70 degC for 40-50 min. If antibodies are present in the milk the bacilli are agglutinated and rise with the cream to form a blue ring at the top, leaving the milk unstained (M positive). If antibodies are absent, the milk remains uniformly blue (M negative) Reference: Ananthanarayan and Paniker's Textbook of Microbiology Tenth edition